What is false regarding wandering spleen?
1. Chronic torsion leads to splenomegaly
2. Treatment of choice is splenectomy only
3. Infarction & torsion are common
4. It is encapsulated with long vascular pedicle

Correct answer: 2. Treatment of choice is splenectomy only

Explanation: Wandering spleen- when position is not fixed due to laxity of ligaments or previous surgery - twisting of vascular pedicel - splenic congestion . Wandering Spleen Wandering spleen is an unusual condition with normal spleen having a long loose & vascular splenic pedicle but lacks ligamental attachments. Clinical Features: Intermittent abdominal pain, splenomegaly resulting from venous congestion & severe persistent pain. May lead to splenic torsion & infarction. Chronic torsion typically causes venous congestion & splenomegaly. Splenectomy or splenopexy is treatment of choice.